Sago grain like vesicular eruption is seen in-
1. Pompholyx
2. Seborrhoeic dermatitis
3. Atopic dermatitis
4. Syphilis

Correct answer: 1. Pompholyx

Explanation: Ans. is 'a' i.e., Pompholyx POMPHOLYXo An attack of pompholyx is characterized by the sudden onset of crops of clear vesicles, which appear 'sago-like'.o Itching may be severe, preceding the eruption of vesicles,o The attack subsides spontaneously in 2-3 weeks .o In mild cases, only the sides of the fingers may be affected, but in a typical case the vesicles develop symmetrically on the palms and/or soles.